In twin pregnancy, treatment of choice when first baby is in transverse lie is :
1. Home delivery
2. Cesarean section
3. High forceps
4. Low forceps after external rotation

Correct answer: 2. Cesarean section

Explanation: Cesarean section